One of the following infections is caused by anaerobic gram-positive cocci -
1. Puerperal infection
2. Food poisoning
3. Endocarditis
4. Septicemia

Correct answer: 1. Puerperal infection